One intern calculated the concentration of O2 in blood as 0.0025 ml/ml of blood. Considering atmospheric pressure as 760mmHg, how much approximate O2 tension could have been in the blood?
1. 40 mmHg
2. 60 mmHg
3. 80 mmHg
4. 100 mmhg

Correct answer: 3. 80 mmHg

Explanation: For PO2 to be 100mmHg, the dissolved O2 level has to be around 0.30ml/dL of blood.
So when the O2 level is 0.25ml/dL, the PO2 is around 80mmHg.